Training period of ASHA
1. 13 days
2. 23 days
3. 33 days
4. 43 days

Correct answer: 2. 23 days

Explanation: Ref:Park's Textbook of Preventive and Social Medicine 25th Ed